MMSE evaluates which of the following:
1. Thought
2. Cognition
3. Insight
4. Mood and effect

Correct answer: 2. Cognition

Explanation: Ans: B. Cognition(Ref Kaplan & Sadock 11/e p201, 225; Niraj Ahuja 7/e p13)The mini-mental state examination (MMSE) or Folstein test is a 30-point questionnaire that is used extensively in clinical and research settings to measure cognitive impairment.It is a screening tool for dementia. It assesses cognitive functions.The total score in MMSE is 30. A score <24 is suggestive of dementia.Provide a bedside assessment of a broad array of cognitive function, including orientation, attention, memory, construction, and language.